A full term baby, exclusively breast fed, at the end of 1 week was passing golden yellow stools and was found to have adequate hydration with normal systemic examination. The weight of the baby was just same as it was at birth. The pediatrician should now advise-
1. Give oral solution with breast feeding
2. Start tap feeding
3. Investigate for lactic acidosis
4. Reassure the mother that nothing is abnormal

Correct answer: 4. Reassure the mother that nothing is abnormal

Explanation: Ans. is 'd' i.e., Reassure the mother that nothing is abnormal o Loss of weight in the first few days of birth is a normal phenomenon. A new born loses upto 10% of his body weight in the first few days of birth. He regains his birth weight by the age of 10 days. o The golden yellow color of the stool is perfectly normal. " The number colour and consistency ofstools may vary greatly in the same infant and between infants of similar age. The color of the stool has little significance except for the presence of blood or absence of bilirubin products."